Striatum damage affects priming
1. Procedural memory
2. Short term memory
3. Long term memory
4. Explicit memory

Correct answer: 1. Procedural memory

Explanation: Implicit memory is subdivided into 4 types. Procedural memory includes skills and habits, which one acquired become unconscious and automatic. Priming is facilitation of recognition of words or objects by prior exposure to them. Ganong's review of medical physiology; 23rd edition; pg: 290